Severity of a diseases is measured by:
1. Case fatality rate
2. Proportional mortality rate
3. Relative risk
4. Attributable risk

Correct answer: 1. Case fatality rate